Mechanism of action of paclitaxei is -
1. Topoisomerase inhibition
2. Increase the polymerization of tubulin
3. Inhibition of protein synthesis
4. Alkylation of DNA

Correct answer: 2. Increase the polymerization of tubulin

Explanation: Ans. is 'b' i.e., Increase the polymerization of tubulin Tasaneso Pacliiaxel and docetaxei function as a mitotic spindle poison through high affinity' binding to microtubules with enhancement of tubulin polymerization.o The microtubules are stabilized and their depolymerization is prevented - inhibition of mitosis and cell division.o Paclitaxel is metabolized in liver and undergoes enterohepatic circulation - dose should be reduced in liver dysfunction.o Paclitaxel can cause hypersensivitv reaction which does not occur with a novel albumin-bound paclitaxel preparation.o Paclitaxel and docetaxei both can cause bone marrow depression & peripheral neuropathy.